Which of the following drug is serotonin-norepinephrine reuptake inhibitor?
1. Venlafaxine
2. Amphetamine
3. Doxepin
4. Mirtazapine

Correct answer: 1. Venlafaxine

Explanation: Venlafaxine, Milnacipran are considered as SNRIs Amphetamine is a psycho stimulant drug. Mitrazapine is an atypical anti depressent. Doxepin is a TCA tricyclic anti deprerssent. Ref: HL Sharma 3rd ed. Classification Pg: 469